About standard Normal curve all is true except
1. Area = 1
2. Mean and Median = 1
3. Bell shaped
4. S.D. = 1

Correct answer: 2. Mean and Median = 1